Enamel organ is
1. Vascular
2. Avascular
3. Rich of capillaries
4. Slightly vascular

Correct answer: 2. Avascular